The major storage and circulatory form of vitamin D is:-
1. 25-hydroxycholecalciferol
2. 1,25-dihydroxycholecalciferol
3. Cholecalciferol
4. Calcitriol

Correct answer: 1. 25-hydroxycholecalciferol

Explanation: Cholecalciferol is first hydroxylated at 25th position to 25-hydroxycholecalciferol (25-OH o3) bv a specific hydroxylase present in  liver. 25-OH D3 is the major storage and circulatory form of vitamin D.
Reference: Satyanarayana- Biochemistry, 3rd edition, pg-125